Disease caused by virus of family of RNA paramyxovirus, with incubation period of 14-21 days with high secondary attack rate with most common complication of aseptic meningitis. Live attenuated vaccine is available for disease with strain JeryII Lynn strain. Name of disease is?
1. Measles
2. Mumps
3. Rubella
4. Chicken pox

Correct answer: 2. Mumps

Explanation: Mumps Caused by virus of family of RNA paramyxovirus Incubation period of 14-21 days Mode of transmission : Respiratory / air droplets Source of infection: Cases Period of communicability: 4-6 days before symptoms & 7days after symptoms High secondary attack rate = 86% Most common complication is aseptic meningitis ; orchitis Live attenuated vaccine is available for disease ,with strain Jeryll Lynn strain